Coupling agent present in composite
1. Organosilanes
2. Silica
3. BIS-GMA
4. TEGDMA

Correct answer: 1. Organosilanes